Idiopathic thrombocytopenic purpura is associated with all of the following Except:
1. Splenomegaly
2. Mucosal bleeding
3. Thrombocytopenia
4. Increased megakaryocytes

Correct answer: 1. Splenomegaly

Explanation: Answer is A (Splenomegaly) Splenomegaly and lymphadenopathy are rare in primary Idiopathic Thrombocytopenic purpura and their presence should lead one to consider other possible diagnosis - Robbins Clinical manifestations Clinical signs and symptoms of ITP are reflective of thrombocytopenia (Bleeding manifestations due to decreased platelet count) Characteristic Clinical Features Clinical features that are characteristically unusual and suggest the possibility of other diagnosis Bleeding and haemorrhages from small venules or capillaries * Spontancouspetechiae * Spontaneous echymoses * Spontaneous mucosa! bleeding * Easy Bruisibility * Frequent Bleeding and haemorrhages from larger veins and arteries and bleeding into joints (Suggest coagulation disorders) * Splenomegaly and Lymphadenopathy are unusual/rare and their presence should lead one to consider other diagnosis. * Spleen is normal in size